Codfish vertebrae are seen in:
1. Osteopetrosis
2. Osteoporosis
3. Morquis syndrome
4. All of the above

Correct answer: 2. Osteoporosis

Explanation: Ans. B i.e. Osteoporosis